A 32-year-old man has a mild anemia diagnosed on routine testing. He has no symptoms and feels fine. His clinical examination is normal, and a blood film reveals some target cells with some red cells having intraerythrocytic crystals.For the above patient with a hemoglobin abnormality, select the most likely diagnosis.
1. beta-thalassemia major
2. HbH disease
3. sickle cell disease
4. HbC disease

Correct answer: 4. HbC disease

Explanation: The patients with homozygous HbC disease have mild hemolysis, splenomegaly, target cells, and HbC crystals. Unlike sickle cell disease, the prognosis is favorable.